FALSE about Gallstone ileus:
1. 90% patients give history of biliary disease
2. Causes 1% of all SBO; around 25% cases in >70 years
3. Tumbling obstruction
4. Fistula is mostly formed between duodenum and gallbladder

Correct answer: 1. 90% patients give history of biliary disease

Explanation: Ans. (a) 90% patients give history of biliary disease* PREVIOUS h/o of gall stone related symptoms is seen only in 50% cases.* Gall stone Ileus constitutes only 1% of etiology of all Small bowel obstructions (also <1% of gallstone cases get this complication).* In old age >70 years- 25% cases are due to Gall stone ileus